A 25 year - old female gives a history of redness, pain and mild diminution of vision in one eye for past 3 days . There is also a history of low backache for the past one year. On examination there is circumcorneal congestion, cornea is clear apart from a few fine keratic precipitates on the corneal endothelium, there are 2+ cells in the anterior chamber, anterior chamber depth being normal and the intraocular pressure is within normal limits. The patient is most likely suffering from :
1. Acute attack of angle closure glaucoma
2. HLA B-27 related anterior uveitis
3. JIA associated uveitis
4. Herpetic keratitis

Correct answer: 2. HLA B-27 related anterior uveitis

Explanation: History of backache with features of anterior uveitis(circumcorneal congestion, few fine keratic precipitates on the corneal endothelium, 2+ cells in the anterior chamber )point towards HLA B27 associated uveitis. Seronegative spondyloahropathies-all are HLA B-27 positive . Sacrolitis (low back pain ) is earliest manifestation. M/C Extra Articular Manifestation- Uveitis JIA(Juvenile Idiopathic Arthritis)- It usually develops before the age of 6 years. Pauciarticular, ANA positive , RF negative In 75% of Patients suffering from JIA associated with anterior uveitis have antinuclear antibodies (ANA) positive (HIGHEST association) In 50% of Patients suffering from JIA associated with anterior uveitis have predisposition due to HLA-DW5